A patient who underwent extensive bowel resection is on total parenteral nutrition (TPN) for 1 month. Endoscopy done after one month reveals diffuse gastric mucosal atrophy. Which enzyme deficiencies are most likely responsible for gastric mucosal atrophy in this patient?
1. Gastrin and ghrelin
2. Secretin and CCK
3. Gastrin and CCK
4. Gastrin and secretin

Correct answer: 3. Gastrin and CCK

Explanation: Ans. (c) Gastrin and CCK(Ref: Yamada's Textbook of Gastroenterology,5th ed p.284)Gastrin and CCK deficiencies can cause Gastric mucosal atrophy